The fundamental particle present in protons is
1. Boson
2. Lepton
3. Quark
4. Neutrino

Correct answer: 3. Quark